A 15 year old male comes to the clinic with complaints that he has difficulty in directing urinary stream since years. On examination of his penis the opening of urethral meatus was noted on the ventral side of penis proximal to the tip of glans penis. Which is the most common type of abnormality seen in this boy?
1. Glandular
2. Penile
3. Scrotal
4. Perineal

Correct answer: 1. Glandular

Explanation: This boy is suffering from hypospadiasis which is the most common congenital malformation of urethra. In hypospadiasis, the urethal meatus opens on the ventral side of penis proximal to the tip of glans penis. Glandular type is the most most common type and does not require treatment. Hypospadiasis results from incomplete fusion of urethral folds. Estrogens and progestins given during pregnance are known to increase the incidence. Types of Hypospadiasis: Glandular (opening is on proximal glans penis) Coronal (opening at the coronal sulcus) Penile shaft Penoscrotal Perineal